According to Vision 2020, the recommendations for secondary care services including cataract surgery is:
1. 1 service center for 5000 population
2. 1 service center for 50,000 population
3. 1 service center for 5,00,000 population
4. 1 service center for 50,00,000 population

Correct answer: 3. 1 service center for 5,00,000 population

Explanation: Ans. c. 1 service center for 5,00,000 population (Ref: Khurana 5/e p484 4/454)According to Vision 2020, the recommendations for secondary care sendees including cataract surgery is 1 service center for 5,00,000 population."There is need to develop 2000 service centres at secondary level. Each with 2 Ophthalmologist and 8 paramedics (Hospital based MLOP), and one eye care manager covering a population of 5 lacs.""Vision 2020': The Right to Sight'Vision 2020': The Right to Sight, is a global initiative launched by WHO in 1999 in a broad coalition with a 'Task Force of International Non-Governmental Organizations (NGOs)' to combat the gigantic problem of blindness in the world.Objective of Vision 2020:To eliminate avoidable blindness by the year 2020 and to reduce the global burden of blindnessQGovernment of India has adopted 'Vision 2020: Right to Sight' under National Programme for Control of Blindness.Infrastructure Pyramid Based on WHO RecommendationsPrimary level Vision Centres:There is need to develop 20,000 vision centresQEach with one Ophthalmic Assistant or equivalent (Community based MLOP)Covering population of 50,000QService Centres:There is need to develop 2000 service centres at secondary levelQEach with 2 Ophthalmologist and 8 paramedics (Hospital based MLOP), and one eye care managerCovering a population of 5 lacsQTraining Centres:There is need to develop 200 Training Centres' for the training of OphthalmologistQCovering population of 50 lacsQCentre of Excellence (COE):There is need to develop 20 COE with well developed all subspecialties of OphthalmologyQ.Covering a population of 5 croreQBasic Strategies Linder Vision 2020:Disease prevention and controlTraining of personnelStrengthening the existing eye care infrastructureUse of appropriate and affordable technologyMobilization of resourcesGlobal Vision 2020 (5 diseasesQ)Indian Vision 2020 (7 diseasesQ)* Cataract* Refractive errors and low vision* Childhood blindness* Trachoma* Onchocerciasis* Cataract* Refractive errors and low vision* Childhood blindness* Trachoma (Focal)* Glaucoma* Diabetic retinopathy* Corneal blindness